Treatment of seasonal affective disorder
1. SSRIs
2. ECT
3. Bright light therapy
4. Sensate focus

Correct answer: 3. Bright light therapy

Explanation: Seasonal affective disorder is mood disorder with seasonal pattern treated with Bright light therapy.